a married women died in unnatural conditions within 5yrs of marriage,her parents complained of frequent demand of dowry .her autopsy will be conducted under ?
1. 174 crpc
2. 176 crpc
3. 302 ipc
4. 304B ipc

Correct answer: 2. 176 crpc

Explanation: dowry death is 304B ipc autopsy is under 176 crpc = magistrate inquest ref : narayanareddy 9th ed